Gottron's papules are –
1. Erythematous papules on cheeks
2. Erythema seen over elbows and knees
3. Periorbital lesions
4. Violaceous papules over knucldes

Correct answer: 4. Violaceous papules over knucldes